What is the health indicator obtained by dividing body height (in centimeters) by cube root of body weight (in kilograms) -
1. Quetelet's Index
2. Broca Index
3. Ponderal Index
4. Corpulence Index

Correct answer: 3. Ponderal Index